Child knows his sex by what age?
1. 12 months
2. 24 months
3. 36 months
4. 48 months

Correct answer: 3. 36 months

Explanation: Ans. is 'c' i.e., 36 months Important milestones of a 3 years child* Rides tricycle* Knows his age and sex.* Stands momentarily on one foot* Repeat a sentence of 6 syllables* Draws a circle* Has a vocabulary of 250 words* Can dress or undress himself completely* Counts 3 objects correctly* Builds tower of 10 cubes* Can withhold and postpone bowel movement